The worst position for scars is -
1. Back
2. Shoulder
3. Sternum
4. Abdomen

Correct answer: 3. Sternum

Explanation: Scar over Sternum is a Precipitating factor for Hypertrophic scar.